Which of the following structures are not involved in development of diaphragm?
1. Somatic body wall
2. Septum transversum
3. Pleuroperitoneal membrane
4. Pleuropericardial membrane

Correct answer: 4. Pleuropericardial membrane

Explanation: Ans: D. Pleuropericardial membranePleuropericardial membrane:Supradiaphragmatic structure.Not involved in formation of diaphragm.Development of Diaphragm:Septum transversum - Central tendon.Pleuroperitoneal membranes - Small intermediate muscular poione.Mesentery of esophagus - Crurae.Body wall - Peripheral muscular diaphragm.Cervical myotomes (muscular input).